The two strands of DNA are held together by
1. Van-der-Waal bond
2. Hydrogen bond
3. Covalent bond
4. Ionic interaction

Correct answer: 2. Hydrogen bond

Explanation: Two strands of DNA are held together by hydrogen bonds between complementary pairs of bases.